Which is most lipogenic carbohydrate:
1. Glucose
2. Galactose
3. Fructose
4. Starch

Correct answer: 3. Fructose

Explanation: All carbohydrates (if in excess), gets converted to fat in body (endogenous fat). Sucrose is made up of glucose and fructose. So, when sucrose is taken instead of glucose, it increases lipogenesis because: Fructose is most rapidly metabolised sugar It bypasses PFK-1 step (Rate Limiting Enzyme of glycolysis). So fructose forms acetyl CoA and thus fats. So fructose is regarded as most lipogenic sugar. Fructose | Uses the enzymes of Glycolysis | Finally forms Pyruvate | Acetyl CoA | Fats (TG, Fatty Acids, Cholesterol) Fructose is present in fruits, honey, table sugar.